Point B in the treatment of carcinoma cervix receives the following dose of:
1. 7000 cGy
2. 6000 cGy
3. 5000 cGy
4. 10,000 cGy

Correct answer: 2. 6000 cGy

Explanation: Two important points in the radiotherapy of cancer cervix are